A 3 week old child with projectile postprandial vomiting is diagnosed of having hypertrophic pyloric stenosis. Congenital hypertrophic pyloric stenosis is associated with:
1. Hypokalemic acidosis
2. Hypokalemic alkalosis
3. Hyperkalemic acidosis
4. Hyperkalemic alkalosis

Correct answer: 2. Hypokalemic alkalosis

Explanation: Laboratory Findings of congenital hypertrophic pyloric stenosis: Hypochloremic alkalosis with potassium depletion are the classic metabolic findings, though low chloride may be seen. Dehydration causes elevated hemoglobin and hematocrit. Mild unconjugated bilirubinemia occurs in 2%-5% of cases. Ref: Sundaram S.S., Hoffenberg E.J., Kramer R.E., Sondheimer J.M., Furuta G.T. (2012). Chapter 21. Gastrointestinal Tract. In W.W. Hay, Jr., M.J. Levin, R.R. Deterding, J.J. Ross, J.M. Sondheimer (Eds), CURRENT Diagnosis & Treatment: Pediatrics, 21e.